1 to 2 mm haemorrhages in skin are known as:
1. Micro bleed
2. Petechiae
3. Purpura
4. None of the above

Correct answer: 2. Petechiae

Explanation: Minute 1- to 2-mm hemorrhages into skin, mucous membranes, or serosal surfaces are called petechiae. These are most commonly associated with locally increased intravascular pressure, low platelet counts (thrombocytopenia), or defective platelet function (as in uremia). Ref: Robbins 8th edition Chapter 4.